Dennie–Morgan fold is seen in –
1. Dermatomyositis
2. SLE
3. Psoriasis vulgaris
4. Atopic dermatitis

Correct answer: 4. Atopic dermatitis

Explanation: Denny Morgan fold is extra fold of skin beneath lower eye lid which is seen in atopic dermatitis.